Mutually protected occlusion; TRUE is
1. Is an occlusal scheme in which the posterior teeth prevent excessive contact of the anterior teeth in maximum intercuspation
2. Posterior teeth function most effectively in stopping the mandible during closure
3. Anterior teeth function most effectively in guiding the mandible during eccentric movements
4. All of the above

Correct answer: 4. All of the above